Osteogenesis imperfect has abnormality in which type of collagen -
1. Collagen 3
2. Collagen 2
3. Collagen 4
4. Collagen 1

Correct answer: 4. Collagen 1

Explanation: Ans. is 'd' i.e., Collagen 1